Clinical diphtheria is caused by -
1. Corynebacterium diphtheriae
2. Corynebacterium parvum
3. C. ulcerans
4. Streptococcus pyogenes

Correct answer: 1. Corynebacterium diphtheriae

Explanation: Ans. is 'a' i.e., Corynebacterium diphtheriae Diphtheria is a nasophaiyngeal & skin infection caused by Corynebacterium diphtheriae